Ranson scoring for acute pancreatitis includes -a) Age > 55 yrb) WBC > 16000/ 1c) BUN > 10 mg/d1d) LDH > 700 lU/I
1. ac
2. a
3. ad
4. ab

Correct answer: 4. ab